Enterocele formation is a common complication of:
1. Suburethral sling surgery
2. TVT
3. Bursch colposuspension
4. TOT

Correct answer: 3. Bursch colposuspension

Explanation: Enterocele formation occurs with Bursch colposuspension.